Methods of learning in psychiatry are all except
1. Modelling
2. Catharsis
3. Exposure
4. Response prevention

Correct answer: 2. Catharsis

Explanation: B i.e., Catharsis Modelling,exposure & response prevention not catharsis are methods of learning in psychiatryQ.Catharsis is expression of supressed thoughts, ideas and material that is accompanied by an emotional response producing a state of relief in patients. For example engaging angry person in expressive but noninjurious behaviour reduces their tension or anger and weakens their tendency to engage in potentially dangerous act of aggression.In catharsis , psychodramatic scenario is created that provides sensory stimulation which triggers emotional release and cathartic abreaction, in the patient who at the same time enjoys this.However, Freud noticed that while recovering suppressed feeling under hypnosis, patients were often unable or unwilling to recall significant distressing part of memory. He referred this reluctance as resistance and excluding distressing material from conscious awareness as repression. And because of resistance and repression he abandoned cathartic method and started free association i.e., asked his patients to say whatever came into their minds without censoring their thoughts.